Not true of hemobilia
1. GI bleeding
2. Fever
3. Jaundice
4. Colicky RUQ pain

Correct answer: 2. Fever

Explanation: Clinical features of Hemobilia Characterized by Quinck's triad (Sandblom's triad) : GI hemorrhage +biliary colic+ jaundice Presentation : Melena(90%), hemetemesis (60%), biliary colic(70%) and jaundice (60%) Tendency for delayed presentation(upto weeks) and recurrent brisk but limited bleeding over months and even years Ref : Sabiston 20th edition Pgno :1472-1474